Fluroquinolone mechanism of action in gram positive organism is by ?
1. DNA gyrase
2. Topoisomerase II
3. Topoisomerase III
4. Topoisomerase IV

Correct answer: 4. Topoisomerase IV

Explanation: Ans. is 'd' i.e., Topoisomerase IV Fluroquinolones Fluoroquinolones (including ciprofloxacin) inhibit DNA gyrase and topoisomerase IV. For gram negative bacteria, the primary target is DNA gyrase, while topoisomerase IV is inhibited in gram positive bacteria.